Best preventive measure against tetanus neonatorum -
1. Active immunization of mother
2. Passive immunization of child
3. Active immunization of child
4. Passive immunization of mother

Correct answer: 1. Active immunization of mother